Babloo a 4 year male presents with history of seizures. On examination there is hypopigmented patches on face & intellectual disability. Most probable diagnosis is:
1. Neurofibromatosis
2. Tuberous sclerosis
3. Sturge Weber Syndrome
4. Incontinenta Pigmenti

Correct answer: 2. Tuberous sclerosis

Explanation: B i.e. Tuberous sclerosis